Diethylstilbestrol should never be used in pregnant women because it is associated with:
1. Development of deep vein thrombosis in the pregnant woman
2. Feminization of the external genitalia of male offspring
3. Infertility and development of vaginal cancer in female offspring
4. Virilization of the external genitalia of female offspring

Correct answer: 3. Infertility and development of vaginal cancer in female offspring